Nerve involved in fracture neck of fibula
1. Tibial Nerve
2. Common Peroneal nerve
3. Obturator nerve
4. Femoral Nerve

Correct answer: 2. Common Peroneal nerve